A 18 year old with pain and tenderness in left scrotum, and normal right scrotum, what should be the investigation done ?
1. B mode USG
2. Color doppler
3. CT scan
4. MRI

Correct answer: 2. Color doppler

Explanation: Colour doppler should be done to look for the testicular artery pulsation as this is most probably a case of torsion testis on left side.Reference : page 1082 SRB's manual of surgery 5th edition